Man is intermediate host of-
1. Filariasis
2. Hydatid cyst
3. Both
4. None

Correct answer: 2. Hydatid cyst

Explanation: Ans. is 'b' i.e., Hvdatid cyst Man acts as intermediate host for : ? Plasmodium (malaria) Toxoplasma Echinococcus granulosus (hydatid disease)